Commonest thyroid tumor in MEN (multiple endocrine neoplasi
1. - a) Follicular
2. Papillary
3. Anaplastic
4. Medullary

Correct answer: 4. Medullary

Explanation: Ans. is 'd' i.e., Medullary o Thyroid tumor is seen in MEN II, and is medullary carcinoma of thyroid.